A 60-years old male patient operated for cataract 6 months back now complains of floaters and sudden loss of vision. The diagnosis is –
1. Vitreous hemorrhage
2. Retinal detachment
3. Central retinal artery occlusion
4. Cystoid macular edema

Correct answer: 2. Retinal detachment

Explanation: Late complications of cataract surgery are cystoid macular oedema, retinal detachment, epithelial in growth, fibrous in growth, vitreous touch syndrome, after cataract.
Retinal detachment (rhegmatogenous) presents with sudden painless loss of vision with floaters and photopsia.